All of these are branches of maxillary nerve in pterygopalatine fossa except
1. Zygomatic nerve
2. Infraorbital nerve
3. Pterygopalatine nerve
4. Posterior superior alveolar nerve

Correct answer: 2. Infraorbital nerve

Explanation: Infraorbital nerve emerges within the orbit.